Maize is pellagragenic due to excess content of
1. Lysine
2. Threonine
3. Leucine
4. Tryptophan

Correct answer: 3. Leucine

Explanation: Amino acid imbalance caused by an excess of leucine is the cause of pellagra in maize (also jowar), eaters.Excess of leucine appears to interfere in the conversion of tryptophan to niacin.Park 23e pg: 619